A patient had the following blood biochemical values. Calcium 6; uric acid 13; Phosphorus 12; Creatinine 6. Which could be the possible diagnosis -
1. Krait bite
2. Uric acid nephropathy
3. Hypercalcemic nephropathy
4. Rickets

Correct answer: 2. Uric acid nephropathy

Explanation: Acute uric acid nephropathy (AUAN, also acute urate nephropathy) is a rapidly worsening (decreasing) kidney function (acute kidney injury) that is caused by high levels of uric acid in the urine (hyperuricosuria) . Ref Harrison20th edition pg 267